Extensive Ileal resection can cause all the following EXCEPT:
1. Pancreatic Hypersecretion
2. Calcium oxalate calculi
3. Lactic acidosis
4. Macrocytic Anemia

Correct answer: 1. Pancreatic Hypersecretion

Explanation: Pancreatic Hypersecretion REF: Bailey & love 25th edition page 229, Sabiston Textbook of Surgery, 18th ed chapter 48 "Extensive Ileal resection causes Gastric Hypersecretion, not pancreatic hypersecretion" Complications of short bowel syndrome include peptic ulceration related to gastric hypersecretion, cholelithiasis because of interruption of the enterohepatic cycle of bile salts, and hyperoxaluria as a result of the increased absorption of oxalate in the colon predisposing to renal stones. Some patients with short bowel syndrome develop a syndrome of slurred speech, ataxia and altered affect. The cause of this syndrome is fermentation of malabsorbed carbohydrates in the colon to D-lactate and absorption of this metabolite. If the distal two thirds of the ileum, including the ileocecal valve, is resected, significant abnormalities of absorption of bile salts and vitamin B12 may occur, resulting in diarrhea and anemia. Treatment necessitates the use of a low carbohydrate diet. Regular parenteral vitamin B12 is required.